Which of the following is not found in cerebral palsy?
1. Hypotonia
2. Microcephaly
3. Ataxia
4. Flaccid paralysis

Correct answer: 4. Flaccid paralysis

Explanation: Cerebral palsy is a static encephalopathy and a disorder of posture and movement often associated with seizures and deficit in the motor, language, and social milestones due to insult to the developing brain.MICROCEPHALY is a feature of cerebral palsy because of insult to the developing brain.DYSTONIC CP is associated with hypotoniaEXTRAPYRAMIDAL CP is associated with ataxiaCerebral palsy is an upper motor neuron disease characterized by rigidity.Flaccid paralysis is a feature of lower motor neuron disease. Hence flaccid paralysis not a feature of cerebral palsy.Spastic cerebral palsy is the common type( 65%)Spastic CP - prognosis for normal intellectual development is good compared to other types of cerebral palsy.BIRTH ASPHYXIA accounts for only 8 -10% of cerebral palsy.